Swajaldhara yojana is to provide -
1. Nutrition
2. Water
3. Pension
4. Sickness Benefits

Correct answer: 2. Water

Explanation: Ans. is 'b' i.e., Water Swajaldhara Yojanao Emphasizing the need for taking up community based rural water supply programmes and to open up the reform initiatives in the rural drinking water supply sector, Government of India has introduced a programme called Swajaldhara, which was launched by the Prime Minister of India on 25th December 2002.o Water supply is ensured to the rural population by Piped Water Supply Schemes (PWSS) and Spot Source Water Supply Schemes (SSWSS). A PWSS is adopted to cover a larger population and also when there is the need of proper treatment of raw water. A SSWSS is adopted to cater smaller population and also where the raw water requires no or minimum treatment.o This programme is dependent on community participation based on empowerment of villagers to ensure their full participation in the project through a decision making role in the choice of the drinking water scheme, planning, design, implementation, control of finances and management arrangementso The ownership of drinking water assets vests with community/panchayat itself.o The minimum share of community contribution for 40 litres per capita per day (LPCD) will be 10% of the estimated capital cost of the project and funding by the Govt, of India would be restricted to 90% of the capital costo The community contribution towards the capital cost of the schemes could be in the form of cash/kind/labour/land or combination of these. However, at least 50% of the community contribution will have to be in Cash. In case community contribution is more than 10% of the scheme cost, the excess amount shall be taken into operation and maintenance fund.o The community contribution need to be just 5% of the estimated capital cost of the project if more than 50% of the population within that community comprises of Scheduled Cost/Scheduled Tribe.